Two siblings, ages 2 and 4, experience fever, rhinitis, and pharyngitis that result in laryngotracheobronchitis. Both have a harsh, bark-like cough and hoarseness. Which of the following viruses is the leading cause of their syndrome?
1. Adenovirus
2. Coxsackievirus B
3. Parainfluenza virus
4. Rhino virus

Correct answer: 3. Parainfluenza virus

Explanation: Parainfluenza viruses (genus Respirovirus) (c) are important causes of respiratory diseases in infants and young children. The spectrum of disease caused by these viruses ranges from a mild febrile cold to laryngotracheo-bronchitis (croup), and bronchitis in young children and adults to more serious bronchiolitis or pneumonia in infants. Adenovirus (a), Coxsackievirus B (b), and rhinovirus (d) cause upper respiratory tract infections that range from mild (common cold) to serious (pneumonia, ARDS), but they do not cause croup. Rotavirus (e) is a major cause of diarrheal illness in infants.